TRUE about papillary carcinoma of breast are all, EXCEPT:
1. Presents in the seventh decade of life
2. Typically papillary carcinomas are large
3. A low frequency of axillary lymph node metastases
4. None of the above

Correct answer: 2. Typically papillary carcinomas are large

Explanation: Papillary carcinoma is a special-type cancer of the breast that accounts for 2% of all invasive breast cancers. It generally presents in the seventh decade of life and occurs in a disproportionate number of nonwhite women. Typically, papillary carcinomas are small and rarely attain a size of 3 cm in diameter. These cancers are defined by papillae with fibrovascular stalks and multilayered epithelium. McDivitt and colleagues noted that these tumors showed a low frequency of axillary lymph node metastases and had 5- and 10-year survival rates similar to those for mucinous and tubular carcinoma Ref: Schwartz's principle of surgery 9th edition, chapter 17.